A 27 year old nulliparous woman complains of severe menorrhagia and lower abdominal pain since 4 months. On examination there is a 9 wks size uterus with fundal fibroid. The treatment of choice is:
1. Myomectomy
2. GnRh analogues
3. Hysterectomy
4. Wait and watch

Correct answer: 1. Myomectomy

Explanation: Resection of tumors is an option for symptomatic women who desire future childbearing or for those who decline hysterectomy. This can be performed laparoscopically, hysteroscopically, or laparotomy incision, and each is described in detail in the surgical atlas. Myomectomy usually improves pain, infertility, or bleeding. Menorrhagia improves in approximately 70 to 80 percent of patients following tumor removal. Ref: Hoffman B.L., Schorge J.O., Schaffer J.I., Halvorson L.M., Bradshaw K.D., Cunningham F.G., Calver L.E. (2012). Chapter 9. Pelvic Mass. In B.L. Hoffman, J.O. Schorge, J.I. Schaffer, L.M. Halvorson, K.D. Bradshaw, F.G. Cunningham, L.E. Calver (Eds), Williams Gynecology, 2e.